All-cause weight gain, except -
1. Pheochromocytoma
2. Cushing's syndrome
3. Hypothyroidism
4. Insulin secreting tumor

Correct answer: 1. Pheochromocytoma